Features of restrictive lung disease is-
1. FEV1/FVC decreases and compliance decreases
2. FEV1/FVC increases and compliance increases
3. FEV1/FVC decreases and compliance increases
4. FEV1/FVC increases and compliance decreases

Correct answer: 4. FEV1/FVC increases and compliance decreases